A patient complains of inability in reading a newspaper, particularly in bright sunlight. What is the most likely diagnosis?
1. Nuclear cataract
2. Cortical cataract
3. Posterior sub capsular cataract
4. Coronary Cataract

Correct answer: 3. Posterior sub capsular cataract

Explanation: While reading newspaper in bright sunlight there occurs accommodation and thus miosis, allowing only central rays of light to pass through. However posterior subcapsular cataract make it difficult for light rays to pass Nuclear cataract or nuclear sclerosis causes index myopia and thus difficulty in far vision like driving a car but it improves near vision - hence the 2nd vision phenomenon. In the question, vision for near is expected for reading a newspaper which would be good in a patient with nuclear cataract Cortical cataract cause problem in night vision as pupil dilate at night exposing the cataractous lens and rays of light are not able to pass through peripheral part of lens. Coronary cataract is an extremely common form of developmental cataract occurring about puberty; thus involving either the adolescent nucleus or deeper layer of the cortex. Since, the opacities are situated peripherally, vision is usually unaffected. Sometimes the associated large punctace opacities may marginally reduce the vision.